Aqueous  humour contains the following to levels higher than that of plasma except
1. Lactate
2. Ascorbate
3. Proteins
4. Pyruvate

Correct answer: 3. Proteins

Explanation: Proteins levels of aqueous humour is lower than that of plasma.Rest have higher level in aqueous humour than plasma.